All of the following muscles are supplied by the facial nerve except:
1. Stapedius
2. Occipitofrontalis
3. Anterior belly of digastric
4. Buccinator

Correct answer: 3. Anterior belly of digastric